Recurrent laryngeal nerve supplies all muscles except:
1. Lateral cricoarytenoid
2. Post cricoarytenoid
3. Cricothyroid
4. Transverse arytenoids

Correct answer: 3. Cricothyroid

Explanation: Ans: c (Cricothyroid)Ref: Chaurasia, 3rd ed. vol. 3 pg. 208 Also refer Q. 246 K2009All intrinsic muscles of larynx are supplied by recurrent laryngeal nerve except cricothyroid which is supplied by external laryngeal nerve.